Diverticulosis appearance on barium enema as shown is called:
1. Saw Tooth Appearance
2. Cork screw appearance
3. Bird of prey appearance
4. Claw sign

Correct answer: 1. Saw Tooth Appearance

Explanation: Ans. (a) Saw tooth Appearance